False about Coarctation of Aorta
1. Double bulge sign is seen
2. Double aortic knuckle
3. Rib notching is seen in 1-8 ribs
4. Rib notching increases with age

Correct answer: 3. Rib notching is seen in 1-8 ribs

Explanation: Rib notching is absent in 1st and 2nd ribs because first and second intercostal arteries do not take part in Collateral Circulation.